All are true about acetaminophen except:
1. It is the most commonly used analgesic
2. About 95% of acetaminophen undergoes detoxification by CYP2E1
3. In severe doses liver failure may occur
4. Injury to liver is produced by NAPQI

Correct answer: 2. About 95% of acetaminophen undergoes detoxification by CYP2E1

Explanation: At therapeutic doses, about 95% of acetaminophen undergoes detoxification in the liver by phase II enzymes and is excreted in the urine as glucuronate or sulfate conjugates The injury produced by NAPQI (N-acetyl-benzoquinoneimine) involves two mechanisms: Covalent binding to hepatic proteins-Damage to cellular membranes and mitochondrial dysfunction, Depletion of glutathione, making hepatocytes more susceptible to reactive oxygen species-induced injury